Lateral Pterygoid muscle is attached to-
1. Articular disc of temporomandibular joint
2. Angle of mandible
3. Floor of temporal fossa
4. Maxillary tuberosity

Correct answer: 1. Articular disc of temporomandibular joint

Explanation: Ans. is 'a' i.e., Articular disc of temporomandibular joint Muscles of masticationMusclesOriginInsertionNerve supplyActionSpecial remarksMasseterLower border of zygomatic arch & its deep surface.Lateral surface of ramus and angle of mandible.Anterior division of mandibularnerve.Elevates the mandible, clenches teeth. Protrusion.Effector of the jaw jerk reflex. It is hypertrophied in bruxism.TemporalisFloor of temporal fossa and temporal fascia.Coronoid process and anterior border of ramus of mandible.Anterior division of mandibularnerve.Elevates the mandible, Retracts the mandible.Side to side movement.Fan shaped muscle.Lateral pterygoidUpper head: Infra temporal surface & crest of greater wing of sphenoid. Lower head:Lateral surface of lateralpterygoid plate.Pterygoid fovea on the neck of mandible, articular disc and capsule of temporoman- dibular joint.Anterior division of mandibularnerve.Depresses the mandible.Protrusion and side to side movement.Most important muscle for opening of mouth along with suprahyoid muscles.Medial pterygoidSuperficial head:Tuberosity of maxilla.Deep head: Medial surface of lateral pterygoid plate & pyramidal process of palatine bone.Medial surface of angle mandible & adjoining ramus.Branch from trunk of mandibularnerve.Elevates the mandible. Protrusion & side to side movement.Nerve to medial pterygoid suppliestensor palati & tensor tympani through otic ganglion.